Linea splendens is a modification of?
1. Endosteal duramater
2. Meningeal duramater
3. Pia mater
4. Arachnoid mater

Correct answer: 3. Pia mater

Explanation: The pia gives off a septum into the anterior median fissure and where this process is given off, the pia mater presents a thickening called linea splendens. (Ref: vishram Singh textbook of clinical neuroanatomy second edition pg 53)